Crystalline lens develops from
1. Mesoderm
2. Endoderm
3. Surface ectoderm
4. Neuroectoderm

Correct answer: 3. Surface ectoderm

Explanation: The lens or crystalline lens or aquula ) has a key role in focussing light (with the cornea) upon the neural retina. The lens embryonic origin is from surface ectoderm of the sensory placodes that form in the head region . The lens focusses by refracting light as it passes through the biconvex lens, which can be altered in shape (accommodation) by surrounding ciliary muscles. These ciliary muscles are activated (contracted) by parasympathetic innervation from the ciliary ganglion itself innervated by the oculomotor nerve . Ref -